In acute solid organ Graft vs host disease, which of the following is not seen?
1. Occurs within 100 days of transplantation
2. Skin is the most common organ involved
3. Preformed antibodies are involved
4. May lead to cholestatic jaundice

Correct answer: 3. Preformed antibodies are involved

Explanation: Answer- C. Preformed antibodies are involvedPreformed antibodies are involved in hyperacute rejection not in GVHD.Acute GVHD occvs within 100 days (usually 10-50 days) of bone marrow transplantation.